All are manifestations of Kawasaki disease, except:
1. Conjunctival congestion
2. Thrombocytopenia
3. Aneurysm of coronary artery
4. Enlarged lymphnodes

Correct answer: 2. Thrombocytopenia

Explanation: Answer is B (Thrombocytopenia): Refer Kawasaki Disease Kawasaki disease is associated with thrombocytosis and not thrombocytopenia.